Spasmolytic analgesic is
1. Dicyclomine
2. Physostigmine
3. Tropicamide
4. None

Correct answer: 1. Dicyclomine

Explanation: Ans. is 'a' i.e., Dicyclomine Antispasmodic (spasmolytic) drugs are used in various colic (pain) e.g. abdominal colic or renal colic. Among the given options, dicyclomine is spasmolytic. Antispasmodic drugs Quaternary compounds - Propantheline, Oxyphenonium, CI idinium, Pipenzolate, Methylbromide, Isopropamide, Glycopyrrolate. Tertiary amines - Dicyclomine, Valethamate, Pirenzepine. Vasoselective antispasmodic (drugs acting on urinary bladder) - Oxybutynin, Tolterodine, flavoxate. Drotaverine